Magnification in Indirect ophthalmoscopy –a) Depends on power of lens usedb) Depends on refractive error of patientc) Independent of refractive error of patientd) independent of power of lens used
1. ac
2. a
3. ab
4. bc

Correct answer: 3. ab

Explanation: Magnification of image in indirect ophthalmoscopy depends upon:-


Dioptric power of the convex lens
The position of the lens in relation to the eyeball
Refractive state of the eyeball


About 5 times magnification is obtained with a +13 D lens. With a stronger lens, the image will be smaller, but brighter and field of vision will be more.